Neuroblastomas - good prognositc factor is
1. N-myc amplification
2. RAS oncogene
3. Hyperdiploidy
4. Translocations

Correct answer: 3. Hyperdiploidy

Explanation: Ref : Sabiston 20th edition Pgno : 1887-1888 Neuroblastoma prognostic factors Favorable prognosis Unfavourable Prognosis Age <1 year Thoracic primary lesion Shimada index showing well differentiated stromal rich tumor Increased ratio of VMA/HVA Normal serum ferritin Hyperdiploid or near triploid High level of expression of Trk-A gene N-myc amplification (>10) Deletion of 1p(most characteristic cytogenetics abnormality) and gain of 17q Expression of multidrug resistance protein Over expression of telomerase Increased serum ferritin Diploid Older patients of stages III and IV